The best diagnostic test for recent hepatitis B is:
1. HBsAg
2. IgM anti-HBcAg
3. Anti-HBe
4. Anti-HBs

Correct answer: 2. IgM anti-HBcAg

Explanation: Ans. (b) IgM anti-HBcAg Remember7 Best marker for diagnosing acute hepatitis B is IgM anti-HBc as it is found only in acute phase of hepatitis B (In chronic hepatitis IgG anti-HBc is found). First marker after acute hepatitis B infection is HBsAg but as it can be found in chronic infection too so, it is not reliable of acute infection. So, Guys be clear: Diagnostic marker of acute hepatitis B: IgM anti-H13,- Earliest marker of acute hepatitis B: